Milk is deficient in:
1. Iron and vitamin C
2. Iron and vitamin A
3. Phosphorus and vitamin A
4. Saturated fats

Correct answer: 1. Iron and vitamin C

Explanation: Ans. a. Iron and Vitamin C (Ref: Ghai 8/e p153)Human breast milk has enough of all nutrients except Vitamin D and Vitamin K. It is also slightly deficient in Vitamin C and iron.Comparing Human and Animal Milks (per cup)NutrientHuman MilkCow's MilkGoat's MilkCalories172146168Protein (g)2.57.98.7Fat (g)10.87.9101Saturated fat (g)4.94.66.5Polyunsaturated fat (g)1.20.50.4Carbohydrate (g)17.011.010.9Folate (mog)12122Monounsaturated fat (g)4.12.02.7Vitamin C (mg)12.303.2Sodium (mg)4298122Iron (mg)0.070.070.12Calcium (mg)79276327 Breast MilkContains bacterial and viral antibodies, including relatively high concentrations of secretory immunoglobulin A that prevent microorganisms from adhering to the intestinal mucosaQ.Macrophages in human milk may synthesize complement, lysozyme, and lactoferrinQ.In addition, breast milk contains lactofcrrin an iron-binding whey protein has an inhibitory effect on the growth of Escherichia coli in the intestineQ.Human milk also contains bile salt-stimulated lipase, which kills Giardia lamblia and Entamoeba histolyticaQ.Most of the protein is lactalbumin & lactglobulin. which is easily digested.Human milk contains certain amino acids like taurine & cysteine, which are necessary for neurotransmission and neuromodulationQ. These are lacking in cow's milk and formula.Breast milk is rich in PUFA, necessary for myelination of nervous system, also contains omega-2 & 6 fatty acidsQ, important for formation of prostaglandins and cholesterol, required as a base for steroid hormones.WHO Guidelines for IndiaWHO recommends, in developing countries, exclusive breastfeeding till 6 months ageQWHO recommends, in developing countries, breastfeeding till minimum 2 years ageQNutritional Importance of Breast milkEnergy content of breast milk 65 Kcal/100 mlQProtein content of breast milk 1.1 grams/ 100 mlQ Mean output of breast milk per dayMonths of lactationMean output (ml)0-25303-46405-6730Q7-86609- 1060011-12525 Nutritive values of milk (per 100 gm) Cow's milkHuman milkLactose (gm)4.47.4Proteins (gm)3.21.1Fat (gm)4.13.4Calcium (mg)12028Iron (mg)0.21.0Water (gm)8788Energy (Kcal)6765Human milk is richer in carbohydrate (lactose), iron & water contentCow's milk is richer in fat, protein, calcium & energy contentQHuman milk proteins: More cystine & taurine; less methionine; better digested than cow's milk proteinsQHuman milk fats: Higher levels of PUFAs, esp., linoleic acid & linoleic acid; better digested and absorbed; low calcium content but better absorbed than cow's milkQHuman milk is richer in Vitamin A & C; richer in copper, cobalt & selenium; richer in iron & higher bioavailability; high calcium/phosphorus ratio; Human milk has lesser sodiumComparative contents of nutrients in different types of milkFat content of milkBuffalo > Goat > Cow > HumanQProtein content of milkBuffalo > Goat > Cow > HumanQEnergy content of milkBuffalo > Goat > Cow > HumanQLactose content of milkQHuman > Buffalo > Goat > CowQColostrumMost suitable food immediately after birth of the babyRegular milk comes 3-6 days after birthAlso known as 'Beestings', 'First milk' or 'Immune MilkHigh in carbohydrates, protein & antibodies and low in fatContains all five immunoglobulins found in all mammals. IgA, IgD, IgE, IgG & IgMQFew occasions when breastfeeding might harm the infantInfants with classic galactosemiaMother has untreated pulmonary tuberculosisMother is taking certain medications that suppress the immune systemMother has had unusually excessive exposure to heavy metals such as mercuryMother has HIVMother uses potentially harmful substances such as cocaine, heroin, & amphetamines.